Which of the following is cause of Hyperkalemia:
1. Exercise
2. Alkalosis
3. Insulin injection
4. Decrease serum osmolarity

Correct answer: 1. Exercise

Explanation: Exercise causes hyperkalemia because Na+-K+ pump cannot keep pace with the K+ efflux from muscle during the depolarization-repolarization process of the sarcolemmal membrane during muscle contraction. Causes of shift of K+ out of cells i.e. Hyperkalemia: Insulin deficiency Beta adrenergic antagonist Acidosis Hyperosmolarity Inhibitors of Sodium potassium ATPase pump Exercise Cell lysis Causes of shift of K+ into cells i.e. Hypokalemia: Insulin Beta adrenergic agonist Alkalosis Hypoosmolarity